The thorium induced tumor is which of the following
1. Renal cell carcinoma
2. Lymphoma
3. Angiosarcoma of liver
4. Astrocytoma

Correct answer: 3. Angiosarcoma of liver

Explanation: Ans. (c) Angiosarcoma of liverRef: Harrison 19th ed. 12027Agents Leading to Angio-sarcoma of Liver*Arsenic*Thorotrast ( Liberates Alpha particles)*Vinyl chloride